Which muscle is inserted into the floor of the intertubercular sulcus ?
1. Lattissimus dorsi
2. Teres major
3. Long head of biceps
4. Deltoid

Correct answer: 1. Lattissimus dorsi

Explanation: Lattissimus dorsi is inserted into the floor of the intertubercular sulcus Intertubercular sulcus lies between the greater and lesser tubercles. Ref: Gray's Anatomy The Anatomical Basics of Clinical Practice 41 e pg 806.